During exercise, blood flow to brain is
1. Decreased
2. Increased
3. Unaltered
4. Initially increased and then decreases

Correct answer: 3. Unaltered

Explanation: There is no change in the cerebral blood flow